Mid-day Meal Programme provides:-
1. 1/3 calories, 1/3 proteins
2. 1/2 calories, 1/3 proteins
3. 1/2 calories, 1/2 proteins
4. 1/3 calories, 1/2 proteins

Correct answer: 4. 1/3 calories, 1/2 proteins

Explanation: Nutritional supplementation under schemes: Scheme/ Programme Nutritional supplementation (of total daily requirement) Calories Proteins ICDS Scheme (anganwadi) Mid-day Meal Programme (Schools) 1/3 1/3 - Ministry of Mid-day meal programme is Human resource & development.